Lower primary 1st molar has
1. 3 pulp horns and 3 root canals
2. 4 pulp horns and 3 root canals
3. 4 pulp horns and 4 root canals
4. 3 pulp horns and 4 root canals

Correct answer: 2. 4 pulp horns and 3 root canals